Preload of heart reduced by:
1. CCB
2. Minoxidil
3. Hydralazine
4. Nitroglycerine

Correct answer: 4. Nitroglycerine

Explanation: Ans. d. NitroglycerineRef: Goodman Gilman 13th E/P491Arterial dilators: Decrease afterloadVenodilators: Decrease preloadMixed dilators: Decrease both preload and afterloadCalcium channel blockersNitratesNitroprussideMinoxidil ACE InhibitorsHydralazine ARBsFenoldopam DRIsDiazoxide Alpha blockers